Appreciation of shape and size of an object placed in hand is lost in damage of-
1. Tractus cuneatus
2. Tractus gracilis
3. Lateral spinothalamic tract
4. Spinocerebellar tract

Correct answer: 1. Tractus cuneatus

Explanation: Ans. is 'a' i.e., Tractus cuneatus * Tractus cuneatus is the lateral part of dorsal column pathway (fasciculus cuneatus in spinal cord and nucleus cuneatus in the medulla) which carries tactile senses and proprioception from the upper body (finger, hand). So, its lesion will cause loss of proprioception and tactile senses (two point discrimination, astereognosis/ stereoanaesthesia, fine touch) from the upper body.* Tractus gracilis is the medial part of dorsal column pathway (fasciculus gracilis in spinal cord and nucleus gracilis in medulla) which carries tactile senses and proprioception from the lower body (foot). So, its lesion will cause loss of proprioception and tactile senses from the lower body.